Not true about calcaneum fracture
1. Bowler's angle is decreased
2. Is most commonly injured Tarsal bones
3. Gissen's angle in intra-articular fracture is decreased
4. Also known as Loveri fracture

Correct answer: 3. Gissen's angle in intra-articular fracture is decreased